Which among the following is not true regarding nasopharyngeal carcinoma -
1. Associated with EBV infection
2. Starts in the fossa of Rosenmuller
3. Radiotherapy is the treatment of choice
4. Adenocarcinoma is usual

Correct answer: 4. Adenocarcinoma is usual

Explanation: Squamous cell carcinoma in various grades of its differentiation or its variants as transitional cell carcinoma and lymphoepithelioma, is the most common (85%).